Cardiac rhythm seen with hyperkalemia is all except?
1. Sinus arrest
2. Sinus bradycardia
3. Ventricular fibrillation
4. Torsades de pointes

Correct answer: 4. Torsades de pointes

Explanation: Cardiac arrhythmias associated with hyperkalemia are: Asystole Sinus bradycardia Sinus arrest Slow idioventricular rhythms Ventricular tachycardia Ventricular fibrillation